Which of the following antibiotic can cause cholestatic jaundice
1. Erythromycin
2. Isoniazid
3. Amikacin
4. Azithromycin

Correct answer: 1. Erythromycin

Explanation: Antibiotics like Erythromycin, Nitrofurantoin, Flucloxacillin can lead to cholestatic jaundics.